Elongated filaments in Pick's disease consist of
1. Hyperphosphorylated tau
2. Ubiquitin
3. Alpha-synuclein
4. Beta-synuclein

Correct answer: 1. Hyperphosphorylated tau

Explanation: Harrison's principles of internal medicine 17th edition. *In Pick's disease dementia is frontotemporal dementia *Molecular basis - tau *Causal genes and chromosome - tau exon and intron mutation(17) *Susceptibility - H1 tau haplophytes * Pathology - tau inclusions,pick bodies,neurofibrillary tangles